In DNA transfer the vectors used to insert smallest to largest DNA is
1. Cosmids, Plasmids, Bacteriophage
2. Plasmids, Bacteriophage, Cosmids
3. Bacteriophage, Cosmids, Plasmids
4. Cosmids, Bacteriophage, Plasmids

Correct answer: 2. Plasmids, Bacteriophage, Cosmids

Explanation: Most general plasmids may be used to clone DNA insert of up to 15 kb in size. Phages can readily accept DNA fragments 10 to 20 kb longCosmids can carry inserts of chimeric DNA that are 35 to 50 kb long.Ref: Harper 30th edition pg: 455